Adoptive immunity is by?
1. Infection
2. Injection of antibodies
3. Injection of lymphocytes
4. Immunization

Correct answer: 3. Injection of lymphocytes

Explanation: Aadoptive immunity: a special type of immunisation is the injection of immunologically competent lymphocytes. - instead of whole lymphocytes, an extract of immunologically competent lymphocytes, known as the transfer factor can be used. Reference: Anathanarayan & paniker's 9th edition, pg no:84